Man comes with head injury investigation of choice
1. CECT
2. X - ray
3. MRI
4. Plain CT

Correct answer: 4. Plain CT

Explanation: Answer- D. Plain CTInvestigation of choice for head trauma patient is CT scan.